Anterior fontanelle closes at:
1. 2-3 months
2. 4-7 months
3. 12-20 months
4. 24-30 months

Correct answer: 3. 12-20 months

Explanation: c. 12-20 months(Ref: Nelson's 20/e p 2792)Anterior fontanelle is a diamond-shaped structure at the junction of the frontal and parietal bones, that is open at birth and usually measures 22cm. The average time of closure is 18 mo, but the fontanelle can dose normally as early as 9 months.